In severe exercise, decrease in pH is due to:
1. Respiratory acidosis
2. Lactic acidosis
3. H+ retention
4. HCO3 excretion

Correct answer: 2. Lactic acidosis

Explanation: Ans. (b) Lactic acidosis(Ref: Guyton, 13th ed/p.1085)Accumulation of lactic acid causes decrease in pH, muscle cramps and muscle fatigue,